Pulseless disease is
1. Microscopic polyarteritis
2. Giant cell arteritis
3. Takayasu's disease
4. PAN

Correct answer: 3. Takayasu's disease

Explanation: (C) Takayasu's disease # TAKAYASU'S ARTERITIS (Pulseless disease)> Clinical: Dizziness, syncope Absent upper extremity pulse (pulseless disease) Blood pressure discrepancy between extremities: Low in upper and higher in lower Visual disturbances> Diagnosis: Angiography# Pulses are commonly absent in the involved vessels, particularly the subclavian artery in Takayasu's.> In Giant cell arteritis patients with involvement of the temporal artery, headache is the predominant symptom and may be associated with a tender, thickened, or nodular artery, which may pulsate early in the disease but may become occluded later.